Destruction of ovaries prior to 7th week following fertilization results in :
1. Pseudohermaphroditism
2. Uterine agenesis
3. Masculinisation
4. None of the above

Correct answer: 4. None of the above

Explanation: Pseudohermaphroditism: May be result of abnormalities of development of the gonads sex ducts and external genitaliaUterine agenesis: Mullerian aplasiaMasculinisation: 47,XXY UsuallySHAW'S TEXTBOOK OF GYNAECOLOGY,Pg no:94,15th edition